Female, on maize as a staple diet. History of diarrhoea and lesion in the neck region. It is due to the deficiency of?
1. Niacin
2. Zinc
3. Thiamine
4. Pyridoxine

Correct answer: 1. Niacin

Explanation: Dietarydeficiency of Niacin or its precursor tryptophan. People with staple diet - maize and Jowar. Maizeis poor source of both nicotinic acid and tryptophan and a pa of nicotinic acid is in a bound form that is not assimilated in GIT. Jowar has high content of leucine. Imbalance between leucine and other related amino acids interferes with conversion of tryptophan to nicotinic acid. Malabsorption Drugs like INH, 5FU, and 6-mercaptopurine. Carcinoid syndrome Dietarydeficiency of Niacinor its precursortryptophan. C/f: Middle aged persons Pellagra: - (Dermatitis,Dementia,Diarrhea, Death) T/t: Niacinamide 300-500mg/dayorally in divided doses.